True statement (s) about salivary gland tumours -a) Pleomorphic adenoma can arise in submandibular glandb) Warthim's tumour arises from submandibular glandc) Pleomorphic adenoma is most common tumour of sub mandibular glandd) Acinic cell Ca is most malignante) Frey's syndrome is due to injury of auriculotemporal nerve
1. cde
2. acd
3. ace
4. ade

Correct answer: 3. ace

Explanation: Pleomorphic tumor is the most common benign tumor of the salivary glands and can arise in any of the salivary gland. It is the most common tumor of the parotid, submandibular & sublingual glands (Most common tumor of minor salivary glands are Adenoid cystic Ca & mucoepidermoid ca.) Warthin's tumor arises only from the parotid gland. Acinic cell ca is a low grade malignant tumor. Most arise in the parotids; the small remainder arise in the submandibular glands. They rarely involve the minor glands. Frey syndrome (also k/a gustatory sweating) Is a complication of parotidectomy surgery. It results from damage of the auriculotemporal nerve during dissection, followed by inappropriate regeneration of parasympathetic autonomic nerve fibres which thus stimulate the sweat glands of the overlying skin (hence also k/a auriculotemporal syndrome). The clinical features of Frey syndrome include sweating and erythema over the region of the parotid glands surgical bed as a consequence of autonomic stimulation of salivation by smell or taste of food.